Endolymph is seen in ?
1. Scala vestibule
2. Scala media
3. Scala tympani
4. Helicotrema

Correct answer: 2. Scala media

Explanation: Ans. is 'b' i.e., Scala media * The scala vestibuli and scala tympani are filled with perilymph and the scala media is filled with endolymph.